True statements regarding octreotide are all of the following except:-
1. It is a somatostatin analogue
2. It is used for treatment of oesophageal variceal bleeding
3. It is contraindicated in acromegaly
4. It is useful in secretory diarrhea

Correct answer: 3. It is contraindicated in acromegaly

Explanation: Octreotide is a somatostatin analogue having high potency and long duration of action. It is indicated for the management of: Acromegaly Islet cell tumors Bleeding due to esophageal varices Secretory diarrhea